Following tarsal bone is devoid of muscular attachment
1. Talus
2. Navicular
3. Cuboid
4. Medial cuneiform

Correct answer: 1. Talus

Explanation: TALUS:- Second largest tarsal bone.Head, neck, and body. Tibia above and calcaneum below, Attachments:-Devoid of muscular attachment. Numerous ligaments attached to it because it takes part in three joints- ankle, talocalcaneal, and talonavicular.Neck:- Capsular ligament of ankle joint.Dorsal talonavicular Interosseus talocalcanean and cervical ligament.Anterior talofibular ligament. Medial surface of body:- deep fibres of deltoid. Medial tubercle - superficial fibres of deltoid ligament. Groove on posterior surface lodges flexor hallucis tendon. Posterior talofibular ligament attached to posterior process.Plantar border: posterior talocalcanean ligament. {Reference: BDC 6E pg no. 30}